True statement regarding non-coagulase staphy lococci is :
1. They are non-pathogenic
2. They commonly infect indwelling prosthesis
3. They may cause scarlet fever
4. They are separated by gram’s staining

Correct answer: 2. They commonly infect indwelling prosthesis